B cell prolymphocytic leukemia patients differ from those with B cell chronic lymphocytic leukemia in
1. Presenting at a younger age
2. Having a lower total leucocyte count
3. Having prominent lymphadenopathy
4. Having a shorter survival

Correct answer: 4. Having a shorter survival